Complete failure of mullerian duct fusion will result in :
1. Uterus didephys
2. Arcuate uterus
3. Subseptate uterus
4. Unicornuate uterus

Correct answer: 1. Uterus didephys

Explanation: Uterus didephys